VIRCHOW's cells are seen in:
1. Lepromatous leprosy
2. Tuberculoid leprosy
3. Borderline lepromatous leprosy
4. Intermediate leprosy

Correct answer: 1. Lepromatous leprosy